Mitomycin C drops are used in:
1. Pterygium
2. Ophthalmia nodosa
3. Spring catarrh
4. Dry eye

Correct answer: 1. Pterygium

Explanation: Ans. A i.e. Pterygium Pterygium Elastatoic degeneration with proliferation of vascularized granulation tissue, Stocker's line is seen